Post transplant lymphoma occurs due to proliferation of which of the following cells -
1. T cell
2. B cell
3. NK cell
4. Monocyte

Correct answer: 2. B cell

Explanation: Diffuse large B cell lymphoma (DLBCL) is the diffuse counterpart of follicular large cleaved cell lymphoma. Epstein Barr virus infectin has been etiologically implicated in DLBCL in immunosuppresed patients of AIDS and organ transplant cases Reference : Harsh Mohan textbook of pathology, 7th edition.Pg no.357